JAK-STAT kinase receptors is associated with ?
1. T cAMP
2. IP3 - DAG
3. Ion channels
4. Nuclear transcription

Correct answer: 4. Nuclear transcription

Explanation: Ans. is'd'i.e., Nuclear transcriptionJAK-STAT-Kinase binding receptors:These receptors differ in not having intracellular enzymatic action on receptor itself. Agonist binding induces interaction of these receptors with free intracellular tyrosine kinase - Janus kinase (JAK).jAK phosphorylates activators of transcription (STAT), which then regulate the nucleus transcription resulting in a biological response.Examples -+ Growth hormone, Prolactin,